Cotton's grading is used for
1. Subglottic stenosis
2. Laryngeal carcinoma
3. Superior nerve palsy
4. Voice abuse

Correct answer: 1. Subglottic stenosis

Explanation: Subglottic stenosis is graded according to the Cotton-Myer classification system from one to four based on the severity of the blockage. Grade 1 - <50% obstruction Grade 2 - 51-70% obstruction Grade 3 - 71-99% obstruction Grade 4 - no detectable lumen Ref: Internet sources- Wikipedia